Drugs not used in myocardial infarction are ?
1. Inhibitors of platelet aggregation
2. Thrombolytics
3. Anticoagulants
4. Inhibitors of Plasminogen activator

Correct answer: 4. Inhibitors of Plasminogen activator

Explanation: Ans. is 'd' i.e., Inhibitors of Plasminogen activator Plasminogen activaters (fibrinolytic agent) are used not inhibitors of plasminogen activators.